Which of the following anaesthetic agent also has anti-emetic property:
1. Ketamine
2. Thiopentone
3. Propofol
4. Nitrous oxide

Correct answer: 3. Propofol

Explanation: Ans. C: Propofol Anaesthetics with anti-emetic property: Midazolam given at the onset of anaesthesia has been shown in to be as effective as ondansetron Propofol is versatile; the drug can be given for short or prolonged sedation as well as for general anaesthesia. It is an anti-emetic.